Why is tetany seen with hyperventilation?
1. Metabolic alkalosis
2. Respiratory alkalosis
3. Metabolic acidosis
4. Respiratory acidosis

Correct answer: 2. Respiratory alkalosis

Explanation: Carbon dioxide washout (in hyperventilation) - will lead to Alkalosis. - Hence to compensate for this alkalosis, some protons will be released from the proteins. - This will lead to vacant space on proteins which will be occupied by calcium ions. Since ionic calcium will migrate to fill in the vacant space left by protons on the protein, the total ionized calcium will fall leading to Tetany.